All are the causes of neovascular glaucoma except:
1. Intraocular tumour
2. Central retinal vein occlusion
3. Diabetic retinopathy
4. Central serous retinopathy

Correct answer: 4. Central serous retinopathy

Explanation: Ans. Central serous retinopathy